The following symptoms are common in Anorexia nervosa EXCEPT
1. Weight loss
2. Mood changes
3. Dehydration
4. Menorrhagia

Correct answer: 4. Menorrhagia

Explanation: (D) Menorrhagia # ANOREXIA NERVOSA:> Eating disorder, commonly in females in adolescence.> Disturbed body image\> Refusal form light calorie food> Weight loss (>25% of body weight)> Amenorrhea (> 3 months)> Absence of other psychiatric disorder> Downy lanugo hair on trunk and limbs> Hypotension, bradycardia, peripheral cyanosis